False statement regarding Barrett's oesophagus
1. Hyperplastic change in lining mucosa of oesophagus
2. Goblet cells seen on histology
3. Patient is usually asymptomatic
4. Chronic GERD is a predisposing factor

Correct answer: 1. Hyperplastic change in lining mucosa of oesophagus

Explanation: Barrett's oesophagus It is a metaplastic change in the lining mucosa of the oesophagus in response to chronic gastro-oesophageal reflux. Patient is usually asymptomatic but Many have abnormal pH profiles. Hallmark of specialised Barrett's epithelium is the presence of goblet cells (intestinal metaplasia) In Barrett's oesophagus the Junction between squamous esophageal mucosa and gastric mucosa moves proximally. Stictures can be seen In Barrett's oesophagus and nearly always appear at the new squamocolumnar junction. Ref: Bailey and love 27th edition pgno:1081